Poor prognostic factor in schizopaEUR' hrenia is:
1. Acute onset
2. Family history of affective disorder
3. Middle age
4. Gradual onset

Correct answer: 4. Gradual onset

Explanation: Gradual onset